Conversion of fat to glucose is
1. Glycolysis
2. Kreb's cycle
3. Gluconeogenesis
4. Saponification

Correct answer: 3. Gluconeogenesis

Explanation: Ans: c (gluconeogenesis) Ref: Vasudevan 4th ed/p.92.Gluconeogenesis is the process by which new glucose is synthesised from non-carbohydrate precursors.Substrates for gluconeogenesis are:-i) Gluconeogenic amino acids - Alanine is the major gluconeogenic amino acid, all but Leucine and Lysine, are gluconeogenicii) Lactate (from anaerobic glycolysis)iii) Glycerol 3- phosphate (from TAG in adipose) minor sourceiv) Propionyl CoA from odd chain fatty acids - minor source PFK = Phospho fructokinaseDHAP = dihydroxy acetone phosphatePEP = phosphoenol pyruvatePEPCK = phosphoenol pyruvate carboxykinaseOAA = OxaloacetoacetatePDH = Pyruvate dehydrogenaseReversible enzymes:i) Glyceraldehyde 3P Dehydrogenaseii) Phosphoglycerate kinaseiii) Mutaseiv) EnolaseIrreversible enzymes:i) Pyruvate carboxylase - mitochondrial enzymeii) Phosphoenol pyruvate carboxykinase - cytoplasmiii) Fructose 1,6- bisphosphate - cytoplasmiv) Glucose- 6-phosphate - endoplasmic reticulum